Bartonella quintana causes:
1. Trench fever
2. Scrub typhus
3. Endemic typhus
4. Epidemic typhus

Correct answer: 1. Trench fever

Explanation: Ans. is. 'a' i. e., Trench fever